Which is not seen in multiple myeloma -
1. Lytic lesions in bone
2. Increase in alkaline phosphatase
3. Hypercalcemia
4. Hypercalciuria

Correct answer: 2. Increase in alkaline phosphatase